The common type of cerebral palsy seen in hospitals is -
1. Spastic
2. Monoplegia
3. Quadriplegia
4. Diplegia

Correct answer: 1. Spastic

Explanation: Ans. is 'a' i.e., Spastic